An adolescent male developed vomiting and diarrhea 1 hour after having food from arestaurant. The most likely pathogen is?
1. Clostridium perfringens
2. Vibrio parahaemolyticus
3. Staphylococcus aureus
4. Salmonella

Correct answer: 3. Staphylococcus aureus

Explanation: Ans. is 'c' i.e., Staphylococcus aureus o Among the given options, only staphylococcus can cause gasteroenteritis within 6 hours. OrganismSymptomsFood soureIncubation period 1-6 hrs1. Staph aureus2. Bacillus cereus (emetic type)Diarrhea, Vomiting, No feverVomiting, diarrhea, No feverMeat, dairy & poultry productFried riceIncubation period 8-16 hrs1. Bacillus cereus (diarrheal type)2. Cl. perfringensDiarrhea, no vomiting, no feverDiarrhea, no vomiting, no feverwide range - meat vegetables,cerealsBeef, poultry, legumesIncubation period > 16 hrs1) V. cholerae2) V. Parahemolyticus3) Salmonella species4) Shigella species5) Campylobacter jejuniDiarrhea, vomiting, No feverDiarrhea, vomiting, feverDiarrhea, fever, rarely vomitingDiarrhea, fever rarely vomitingDiarrhea, fever, no vomitingwide range of foodSea foodBeef, poultry, eggs, dairy productsPotato or egg salad, raw vegetablesPoultry raw milk